Drug used for bleeding GI varices
1. Demeclocycline
2. Desmopressin
3. Terlipressin
4. Leuprolide

Correct answer: 3. Terlipressin

Explanation: Ans. is'c'i.e., TerlipressinTerlipressin (analogue vasopressin) is considered the vasoactive agent of choice for acute variceal bleeding.Other drugs used are somatostatin and its analogue octreotide.